Which manoeuver used in reduction of shoulder dislocation
1. Allis manoeuvre
2. Sultanpur technique
3. Kocher's manoeuver
4. Intramedullary nail

Correct answer: 3. Kocher's manoeuver